The receptors for parathyroid hormone are present in:
1. Osteoblasts
2. Osteoclasts
3. Periosteum
4. Cartilage

Correct answer: 1. Osteoblasts